Transtentorial herniation causes all except -a) Neck stiffnessb) Post cerebral artery infarct.c) Contralateral hemeiparesisd) 3rd Nerve palsy with contralateral pupillary dilatation
1. b
2. ad
3. ac
4. ab

Correct answer: 2. ad